Not a secondary Messenger:
1. cAMP
2. cGMP
3. Ca
4. Mg

Correct answer: 4. Mg

Explanation: Mg